Most common cause of urinary retention in children includes
1. Posterior urethral valves
2. Urethral stenosis
3. Urethral aplasia
4. Ectopic ureteric opening

Correct answer: 1. Posterior urethral valves

Explanation: (A) Posterior urethral valves # Posterior urethral valves: These constitute an important cause of distal urinary tract obstruction in boys.> Dribbling, abnormal urinary stream, palpable bladder and recurrent UTI are the usual presenting features.> The presence of severe obstruction in the urinary tract in utero may lead to renal dysplasia.> Mild to moderate impairment of renal function may be present at birth.> The diagnosis is made on MCU, which shows dilated posterior urethra and valves at its junction with anterior urethra.